What is the treatment for nodulocystic acne vulgaris?
1. Isotretiroin
2. Clindamycine cream
3. Topical steroids
4. Benzoyl peroxide

Correct answer: 1. Isotretiroin

Explanation: Nodulocystic acne is a severe form of acne which is very disfiguring. Nodulocystic acne sufferers develop nodules as well as cysts. Extensive scaring may result from this condition. Oral or systemic Isotretinoin is used in treatment. Oral antibiotics and contraceptives are also used.